The lymphatic drainage of testes is
1. Inguinal lymph node
2. Mesenteric lymph node
3. Para-aortic lymph node
4. Obturator lymph node

Correct answer: 3. Para-aortic lymph node

Explanation: Blood Supply and Lymphatic Drainage. The testis and epididymis are supplied by the testicular artery , and their veins drain into the pampiniform plexus, which forms the bulk of the spermatic cord. The veins of the pampiniform plexus often become varicose, a condition termed varicocele. Ref - BDC 6e vol2 pg224 , semantischolar.org